Regarding propofol which One of the following is false
1. it is used as an intravenous induction agent
2. It causes severe vomiting
3. It is painful on injecting intravenously
4. It has no muscle relaxant property

Correct answer: 2. It causes severe vomiting

Explanation: Propofol also possesses significant antiemetic activity with small (sub hypnotic) doses (i.e., 10 mg in adults). The median concentration of propofol with an antiemetic effect was 343 ng/mL, which also causes a mild sedative effect. This concentration can be achieved by an initial dose of propofol infusion of 10 to 20 mg followed by 10 mg/kg/minute. Propofol used as a maintenance anesthetic during breast surgical procedures was more effective than 4 mg of ondansetron given as prophylaxis in preventing postoperative nausea and vomiting (PONV). Propofol as an infusion of 1 mg/kg/hour (17 mg/kg/minute) also has provided excellent antiemetic action after anticancer chemotherapy. Ref: Miller's anesthesia 8th edition